When the gas filled cysts are found in subserosa or submucosa of small intestine or colon, it is called -
1. Pneumatosis cystoides intestinalis
2. Crohn's disease
3. Ulcerative colitis
4. Mesenteric cyst

Correct answer: 1. Pneumatosis cystoides intestinalis